Murine typhus is transmitted by?
1. Mite
2. Tick
3. Rat
4. Flea

Correct answer: 4. Flea

Explanation: Ans. d (Flea). (Ref. Park, PSM, 17th ed., 230).ARTHROPOD-BORNE DISEASES (MH 2005) ArthropodDiseases transmitted1.HouseflyTyphoid and paratyphoid fever, diarrhoea, dysentery, cholera, gastroenteritis, amoebiasis, helminthic infestations, poliomyelitis, conjunctivitis, trachoma, anthrax, yaws, etc.2.SandflyKalaazar, oriental sore, sandfly fever, oraya fever, leishmaniasis3.Tsetse flySleeping sickness4.LouseEpidemic typhus, relapsing fever, trench fever, and pediculosis5.Rat fleaBubonic plague, endemic typhus6.Black flyOnchocerciasis7.Reduviid bugChagas diseaseRICKETSSIAL DISEASES DiseaseCaused byVector1.Epidemic typhusR. prowazekiiLouse2.Endemic typhusR. typhiRat flea3.RMSFR. rickettsiiTick4.Rickettsial poxR. akariMite5.Scrub typhusR. tsutsugamushiMite6.Trench feverRoxielia quintanaLouse7.Q feverCoxiella burnettiTick